All of the following are examples of alkylating agents except:-
1. Procarbazine
2. Melphalan
3. Busulfan
4. Bleomycin

Correct answer: 4. Bleomycin

Explanation: ALKYLATING AGENTS If: Ifosfamide Bus: Busulfan Not: Nitrosoureas Present: Procarbazine Take: Temozolomide My: Melphalan Cycle: Cyclophosphamide